Polycarboxylate cement is used for:
1. Temporary restoration
2. Luting
3. Permanent restoration
4. Die material

Correct answer: 2. Luting

Explanation: ZINC POLYCARBOXYLATE CEMENT
APPLICATIONS:

Primarily for luting permanent restorations.
As bases and liners.
Used in orthodontics for cementation of bands.
Also used as root canal fillings in endodontics.

Ref: Manappalil P: 95